Consider the following statements - Venacaval opening of the diaphragm situated at the level of T8 transmit
1. Oesophagus
2. Vagus nerve
3. Branches of the right phrenic nerve
4. Thoracic duct

Correct answer: 3. Branches of the right phrenic nerve

Explanation: vena cava opening transmits the inferior vena cava, branches of right phrenic nerve, lymphatics of liverB D CHAURASIA'S HUMAN ANATOMY LOWER LIMB ABDOMEN AND PELVIS VOLUME -2, SIXTH EDITION Page no-333